Hydatidiform mole follow up reliable fest-
1. BetaHCG
2. US
3. Clinical examination
4. Serum estradiol levels

Correct answer: 1. BetaHCG

Explanation: Ans-A i.e., Beta HCG Follow up in a hydatidiform mole:o Serum beta HCG levels measured using radioimmunoassay tests in serum and urine are the most reliable for follow up of cases of hydatidiform mole.It usually regresses to normal in 3 months following the evacuation of hydatidiform mole.Persistent or rising beta HCG levels warrant further evaluation and management.